All pass through jugular foramen except?
1. Vagus nerve
2. Internal jugular vein
3. Glossopharyngeal nerve
4. Facial nerve

Correct answer: 4. Facial nerve

Explanation: Ans. D. Facial nerveThe jugular foramen is a large foramen (aperture) in the base of the skull. It is located behind the carotid canal and is formed in front by the petrous portion of the temporal bone, and behind by the occipital boneThe jugular foramen may be subdivided into three compartments, each with their own contents.a. The anterior compartment transmits the inferior petrosal sinusb. The intermediate transmits the glossopharyngeal nerve, the vagus and accessory nerves (aka cranial nerves number IX, X, and XI respectively).c. The posterior transmits the sigmoid sinus (becoming the internal jugular vein)